Tinea unguium effects –
1. Nail fold
2. Nail plate
3. Joints
4. Inter digital space

Correct answer: 2. Nail plate

Explanation: Tinea unguium starts either from distal edge of nail plate or from base of nail. It slowly involves the entire nail plate.